In Alzheimer disease, seen are:a)  Neurofibrillary tanglesb)  Neuritic plaquesc)  Pick's proteind)  Amyloid angiopathye)  Senile plaques
1. abcd
2. bcde
3. acde
4. abde

Correct answer: 4. abde